Which of the following drugs has spasmolytic activity and could also be used in the management of seizure caused by overdose of a local anesthetic?
1. Baclofen
2. Dantrolene
3. Diazepam
4. Tizanidine

Correct answer: 3. Diazepam

Explanation: IV diazepam controls convulsions. In fact these can be prevented by preanesthetic administration of diazepam (1-2 mg/kg),especially if large doses are to be used. From padmaja 4th edition Page no 201